Shortest pelvic diameter is-
1. Bispinous
2. Oblique
3. Transverse
4. Anteroposterior

Correct answer: 1. Bispinous

Explanation: Ans. is 'a' i.e., Bispinous Diameters of female pelvisInleto Antero-posterior diameter (true conjugate, anatomical conjugate, conjugate vera- 11cm)Distance between midpoint of sacral promontory to inner margin of upper border of symphysis pubis.o Obstetric conjugate (10 cm)Distance between midpoint of sacral promontory to the prominent bony projection in the midline on inner surface of symphysis pubis,o Diagonal conjugate (12 cm)Distance between the lower border of symphysis pubis to the midpoint of sacral promontory,o Transverse diameter (13 cm)Distance between the two farthest points on the pelvic brim over ilio-pectineal lines,o Oblique diameter (12 cm)Extending from sacro-iliac joint to opposite ilio-pubic eminence. There 2 of it- right & left,o Sacro-cotyloid (9.5 cm)Distance between the mid-point of sacral promontory to ilio-pubic eminence.Cavityo Antero-posterior (12 cm)Mid point on posterior surface of symphysis pubis to the junction of 2nd & 3rd sacra! vertebrae,o Transverse diameter (12 cm)Cant be measured correctly.Obstetrical outleto Transverse diameter (bispinous - 9.5 cm)Distance between tip of 2 ischial spines,o Antero-posteriordiameter(ll cm)Distance between Inferior border of symphysis pubis to the tip of sacrum,o Posterior sagittal diameter (5 cm)Distance between tip of the sacrum to the midpoint of bispinous diameter.Anatomical outleto Antero-posterior (13 cm)Distance between lowrer border of symphysis pubis to the tip of coccyx,o Transverse diameter (bispinous-11 cm)Distance between the inner borders of ischial tuberositieso Posterior sagittal diameter (8.5 cm)Distance between sacroccygeal joint and anterior margin of anus